In a classical case of Meniere's disease which one of the following statement is true -
1. Carhart's Notch is a characteristic feature in puretone audiogram
2. Schwartz's sign is usually present in the tympanic membrane
3. Low frequency sensorineural deafness is often seen in pure tone audiogram
4. Decompression of fallopian canal is the treatment of choice

Correct answer: 3. Low frequency sensorineural deafness is often seen in pure tone audiogram

Explanation: Carharts’ notch and Schwartz’s sign are seen in otosclerosis
Decompression of endolymphatic sac (and not fallopian canal) is done in Meniere’s disease.
Decompression of Fallopian canal is done in traumatic facial nerve palsy.

* Meniere’s disease is associated with – SNHL which affects low frequencies first, followed by higher frequencies later. This is visible on pure tone audiogram.